Factor useful for clot stabilization?
1. X
2. XI
3. XII
4. XIII

Correct answer: 4. XIII

Explanation: Ans. is `d i.e., XIIIFactor XIII:It is also called fibrin stabilizing factor.It is necessary for clot stabilization and the cross linking of the fibrin polymer in blood.A hallmark of this rare deficiency is poor wound healing and abnormal scar formation.